Contraindication of liver transplant?
1. Acute fulminant hepatic failure
2. Metabolic Disease
3. Metastasis
4. Primary liver malignancy

Correct answer: 3. Metastasis

Explanation: Ans. (c) MetastasisRef: Sabiston 19th edition, Page 657* Contraindications for Liver transplant:# Metastatic liver disease# Poor cardio-pulmonary reserve# Systemic infections (HIV is not a contraindication now)# Porto pulmonary hypertension with pulmonary artery pressure >50mmHg # Hepatopulmonary syndrome when PaO2 does not show improvement with 100% oxygen.